Percentile BMI for defining as Underweight is:-
1. <5th percentile
2. <50th percentile
3. <85th percentile
4. <95th percentile

Correct answer: 1. <5th percentile

Explanation: Percentile classification of obesity: Underweight: less than 5th percentile Normal BMI: 5th - 85th percentile Overweight: 85th - 95th percentile Obesity: > 95th percentile.